lridocorneal endothelial syndrome is associated with
1. Progressive atrophy of iris stroma
2. Deposition of glycosaminoglycan in Descemet's membrane
3. Deposition of collagen in Descemet's membrane
4. Bilateral stromal oedema of iris and cornea

Correct answer: 1. Progressive atrophy of iris stroma

Explanation: GLAUCOMAS ASSOCIATED WITH IRIDOCORNEAL ENDOTHELIAL SYNDROMES Iridocorneal endothelial (ICE) syndromes include three clinical entities: 1) Progressive iris atrophy, 2) Chandler's syndrome, and  3) Cogan-Reese syndrome. Pathogenesis: The common feature of the ICE syndromes is the presence of abnormal corneal endothelial cells which proliferate to form an endothelial membrane in the angle of anterior chamber. Glaucoma is caused by secondary synechial angle-closure as a result of contraction of this endothelial membrane. Clinical features: The ICE syndromes typically affect middle-aged women. The raised IOP is associated with characteristic features of the causative condition.  1) In 'progressive iris atrophy', iris features predominate with marked corectopia, atrophy and hole formation. 2) While in Chandler's syndrome, changes in iris are mild to absent and the corneal oedema even at normal IOP predominates. 3) Hallmark of Cogan-Reese syndrome is nodular or diffuse pigmented lesions of the iris (therefore also called as iris naevus syndrome) which may or may not be associated with corneal changes. Treatment: Medical treatment is often ineffective.  Trabeculectomy operation usually fails,  Artificial filteration shunt may control the IOP. Ref:- A K KHURANA; pg num:-237